Some micro organisms produce a diffuse spreading inflammatory reaction due to the elaboration of
1. Coagulase
2. Peroxidase
3. Bradykinin
4. Hyaluronidase

Correct answer: 4. Hyaluronidase